Associated with objective tinnitus
1. Meinere's disease
2. Acoustic neuroma
3. Ear wax
4. Glomus tumor

Correct answer: 4. Glomus tumor

Explanation: Objective tinnitus is less frequent. Vascular lesions, such as glomus tumours or carotid artery aneurysm cause swishing tinnitus synchronous with the pulse and can be temporarily abolished by pressure on the carotid artery. Ref: PL DHINGRA diseases of ear nose and throat,7th edition, page no 121